A patient presents with breast ca. Inspection shows Peaud' orange appearance. What is the T stage of the tumor:
1. T2
2. T3
3. T4a
4. T4b

Correct answer: 4. T4b